All are synonyms except -
1. Heatstroke
2. Sunstroke
3. Heat hyperthermia
4. Heat collapse

Correct answer: 4. Heat collapse

Explanation: ↵
Heat stroke is also known as heat hyperpyrexia, sunstroke, systemic hyperthermia, heat hyperthermia, and thermic fever.